Esophageal carcinoma what is the most important prognostic indicator?
1. Length of involvement
2. Depth of invasion
3. Histological grading
4. Immunohistochemistry

Correct answer: 2. Depth of invasion

Explanation: Ans. is 'b' i.e., Depth of invasion Prognostic indicators in esophageal carcinoma:* The depth of invasion of the tumor through the wall of esophagus, is the most important prognostic indicator, with considerable independent prognostic significance.* Presence or absence of lymph nodal metastases is a significant and independent indicator of prognosis.Other prognostic indicators:* Presence or absence of distant metastases* Resection margins* Serosal or peritoneal involvement* T1 subclassification* Vascular invasion